The micronutrient, helping to increase the absorption of iron from the diet
1. Folic acid
2. Ascorbic acid
3. Nicotinic acid
4. Pantothenic acid

Correct answer: 2. Ascorbic acid

Explanation: Dietary composition affects the biologic availability and use of nutrients. For example, the absorption of iron may be impaired by large amounts of calcium or lead; likewise, non-heme iron uptake may be impaired by a lack of ascorbic acid and amino acids in the meal.Ref: Harrison's Principles of Internal Medicine; 19th edition; Chapter 95e; Nutrient Requirements and Dietary Assessment